"Chasing the dragon" is a slang used with
1. Cocaine
2. Heroin
3. LSD
4. Ketamine

Correct answer: 2. Heroin

Explanation: "Chasing the dragon" refers to inhalation of vapours of Heroin (opioid) placed on a heated aluminium foil.